Which of the following HLA types is associated with rheumatoid arthritis 135?
1. HLA B27
2. HLA DR4
3. HLA B8
4. HLA DP

Correct answer: 2. HLA DR4

Explanation: HLA B27-Ankylosing spondylitis HLA DR4-Rheumatoid arthritis HLA B8-myasthenia gravis Ref: Textbook of Microbiology Baveja 5th ed Pg 135